Energy expenditure in resting state depends on
1. Lean body mass
2. Adipose tissue
3. Resting heart rate
4. Exercise

Correct answer: 1. Lean body mass

Explanation: Both basal metabolic rate and resting metabolic rate are usually expressed in terms of daily rates of energy expenditure. The early work of the scientists J. Arthur Harris and Francis G. Benedict showed that approximate values could be derived using body surface area (computed from height and weight), age, and sex, along with the oxygen and carbon dioxide measures taken from calorimetry. Studies also showed that by eliminating the sex differences that occur with the accumulation of adipose tissue by expressing metabolic rate per unit of "fat-free" or lean body mass, the values between sexes for basal metabolism are essentially the same. The Katch-McArdle Formula (BMR) , where LBM is the lean body mass in kg. The Cunningham Formula (RMR): , where LBM is the lean body mass in kgRef: Ganong's review of medical physiology;24th edition; page no-489